Structure not passing through the esophageal hiatus:
1. Left phrenic nerve
2. Right vagus nerve
3. Left vagus nerve
4. Left gastric artery

Correct answer: 1. Left phrenic nerve

Explanation: Aortic opening lies in osteoaponeurotic part of diaphragm between right & left crusQ at T1212 vertebral level and it transmits - aorta, azygous vein & thoracic ductQ.Oesophageal opening lies in muscular portion derived from right crus at TIO levelQ and it transmits oesophagusQ, oesophageal branch of left gastric arteryQ and both right & left vagus (gastric) nervesQRight phrenic nerve passes through the central tendon of diaphragm at T8 levelQ, either through venacaval aperture (with IVC)Q or just lateral to it. Whereas, left phrenic nerve passes through the muscular part of diaphragm anterior to central tendon, just lateral to left cardiac surface and more anterior than the right phrenic nerve.